The father of modern epidemiological surveillance is
1. William Farr
2. James Lind
3. Edwin Chadwick
4. Pettenkofer

Correct answer: 1. William Farr

Explanation: William Farr is often referred to as the father of modern epidemiological surveillance. Textbook on Public Health and Community Medicine pg: 14.